Mark the FALSE statement about Myotonic dystrophy type 1:
1. Due to defect in Chromosome 19
2. Proximal muscle weakness
3. Tenting of upper lips
4. Wasting of temporalis, masseter leading to hatchet facies

Correct answer: 2. Proximal muscle weakness

Explanation: Myotonic dystrophy Type 1: defect on chromosome 19 Type 2: defect on chromosome 3 CTG repeats C/F Muscle weakness distal Tenting of upper lips Wasting of temporalis, masseter leading to hatchet facies Testis atrophy Myotonia Posterior subcapsular cataracts First degree heart blocks Myotonic dystrophy type 2 (DM2) causes proximal muscle weakness primarily. Acid maltase deficiency (Pompe disease) adult-onset form: respiratory muscle weakness is prominent and often is the presenting symptom. ??'Becker and Duchenne muscular dystrophies present with primarily proximal muscle weakness and are X-linked recessive disorders